. Relative Risk can be obtained from -
1. Case study
2. Cohort study
3. Case control study
4. Experimental study

Correct answer: 2. Cohort study